All of the following may lead to corneal opacity in newborn except
1. Endothelial dystrophy
2. Sclerocornea
3. Mucopolysaccharidosis
4. Droplet keratopathy

Correct answer: 4. Droplet keratopathy

Explanation: D. i.e. Droplet keratopathy Droplet keratopathy also k/a climatic / actinic/ oil-droplet keratopathy is a degenerative condition common in those exposed to a hot, dry, dusty environment and outdoor activity in the sun such as farmerQ. It affects exposed interpalpebral portion of cornea sparing the limbal area. The superficial layers are predominantly affected. It is characterized by superficial non vascularized corneal opacity with lesions in epithelium resembling droplets of oil. Causes of Congenital corneal opacities are: Sclero corneaQ Trauma Ulcer MucopolysaccharidosisQ Peter anomaly Congenital hereditary Endothelial Dystrophy()